Nyctalopia is due to deficiency of
1. Vitamin A
2. Vitamin B
3. Vitamin C
4. Vitamin E

Correct answer: 1. Vitamin A